Semantic memory includes all except memory of:
1. Words
2. Rules
3. Events
4. Language

Correct answer: 3. Events

Explanation: Ans: C. Events(Ref: Kaplan & Sadock 11/e p176-117; Niraj Ahuja 7le p14)Semantic memory is one of the two types of declarative or explicit memory.Refers to general word knowledge thst hte have accumnlated throughout our lives.This general knowledge (facts, ideas, meaning and concepts) is intertwined in experience and dependent on culture.Semantic memory is distinct from episodic memory, which is oar memory of experiences and specific events that occur daring our lives, from which we can recreate at any given point.Types of MemoryDeclarative memoryNondeclarative memoryFactsdegEventsdegSkill & habbitsdegPrimingdegSimple classical conditioningdegNon-associative learningdeg